A 30 year old male is having Attic cholesteatoma of left ear with lateral sinus thrombophlebitis. Which of the following will be the operation of choice?
1. Intact canal wall mastoidectomy
2. Simple mastoidectomy with Tympanoplasty
3. Canal wall down mastoidectomy
4. Mastoidectomy with cavity obliteration

Correct answer: 3. Canal wall down mastoidectomy

Explanation: (CWD) Canal wall down is usually done is cases of Attic cholesteotoma with complications. The indications for a canal wall down procedure would be a large cholesteatonma involving the mastoid cavity, or a patient with chronic otitis media who has already failed a canal wall up procedure. There is a category of canal wall down procedures based on intracranial complications of chronic ottitis media, due to cholesteamoma, For etample brain abscess or meningitis from ear disease or even a sigmoid sinus thrombosis from ear disease these would merit a canal wall down procedure